All of the following are health risks associated with polycystic ovarian disease, EXCEPT?
1. Type II Diabetes
2. Infertility
3. Abnormal glucose tolerance test
4. Postdated pregnancy

Correct answer: 4. Postdated pregnancy

Explanation: Health risks associated with Polycystic ovary syndrome (PCOS) Type II Diabetes Hypertension Coronary artery disease Lipidaemias Premature Ovarian failure Breast Cancer Endometrial cancer Pregnancy risks associated with Poly-cystic ovary syndrome (PCOS) Gestational diabetes (diabetes that occurs during pregnancy) Pregnancy induced hypertension (PIH) Pre-Eclampsia Preterm birth Babies from PCOS mothers have a higher rate of admission to the neonatal intensive care unit & perinatal death